Which of the following are boundaries of Poirier's Triangle?
1. Arch of aorta
2. Left subclavian artery
3. Vertebral column
4. All of the above

Correct answer: 4. All of the above

Explanation: Poirier's Triangle . Boundaries: - Inferior-Arch of Aorta - Anterior- Left subclavian artery - Posterior- vertebral column Importance- Identification of thoracic duct.